The sequence of vesicle transport is -
1. ER → Trans → Cis → Lysosome
2. ER → Cis → Trans → Cell membrane
3. ER → Lysosome → Trans → Cis
4. Cis → ER → Trans → Cell membrane

Correct answer: 2. ER → Cis → Trans → Cell membrane